DAX 1 gene Mutation is associated with
1. Cushing's disease
2. Hashimoto's disease
3. Congenital adrenal hypoplaisa
4. Addison's disease

Correct answer: 3. Congenital adrenal hypoplaisa

Explanation: Ans. C. Congenital adrenal hypoplasiaExplanationDAX1 mutation is seen in congenital adrenal hypoplasia.DAX1 (dosage-sensitive sex reversal, adrenal hypoplasia critical region, on chromosome X, gene 1) is a nuclear receptor protein encoded by the NROBlgene.DAX1 plays an important role in the normal development of several hormone-producing tissues.The adrenal glands,The pituitary gland andHypothalamusThe testes and ovariesMutations in this gene result in both X-linked congenital adrenal hypoplasia and hypogonadotropic hypogonadism